Triple assessment for carcinoma breast includes:
1. History, clinical examination, biopsy/cytology
2. Clinical examination, Mammography, biopsy/cytology
3. History, clinical examination, Ultrasonography
4. Observation, Ultrasonography, biopsy/cytology

Correct answer: 2. Clinical examination, Mammography, biopsy/cytology

Explanation: B i.e. Clinical examination, Mammography, biopsy/cytology In any patient who presents with a breast lump or other symptoms suspicious of carcinoma, the triple diagnostic approach is used to confirm the diagnosis. Triple assessmentQ comprises of :? - Clinical examination - Radiological imaging - mammography or ultrasound - Pathological assessment - cytology or biopsy.